Fredrich's ataxia is caused by which type of mutation
1. Point mutation
2. Expanded trinucleotide repeat
3. Missense mutation
4. Inversion

Correct answer: 2. Expanded trinucleotide repeat

Explanation: *friedreich ataxia is caused by expansion of a GAA trinucleotide repeat in the 1st intron of a gene on chromosome 9q13 that encodes frataxin. Ref Harrison20th edition pg 2332